Skin penetration not seen in
1. Taenia saginata
2. Necator americanus
3. Ancylostoma duodenale
4. Strongyloides stercoralis

Correct answer: 1. Taenia saginata